Loeffler's serum slope doesn't contain
1. Nutrient Broth
2. Glucose
3. Horse serum
4. Sheep blood

Correct answer: 4. Sheep blood

Explanation: LSS is used for the culture of C Diptheria It doesn't contain sheep blood .sheep blood is present in blood agar LSS is a type of enriched media Ref: CP Baveja 4th ed Pg:46